Anaerobic bacteria grow
1. in the presence of oxygen
2. in the presence of nitrogen
3. in the absence of oxygen
4. differential media

Correct answer: 3. in the absence of oxygen